Which is true regarding prostate gland?
1. Only glandular tissue
2. Glandular tissue covered with transitional epithelium
3. Glandular tissue and fibromuscular stroma
4. Entire gland is composed of collagen

Correct answer: 3. Glandular tissue and fibromuscular stroma

Explanation: Ans. C Glandular tissue and fibromuscular stromaRef: Gray's Anatomy, 39th ed. pg. 1302* The anterior part of the prostate is composed mainly of fibromuscular stroma, which is continuous with detrusor fibers.* Toward the apex of the gland, this fibromuscular tissue blends with striated muscle from the levator.* Pubosprostatic ligaments also blend with this area.